Female sex chromatin is :
1. XX
2. XO
3. XY
4. XXX

Correct answer: 1. XX

Explanation: XX